Recommended rate of chest compression during cardiopulmonary resuscitation in adults is:-
1. About 72 compression per minute
2. At least 72 compression per minute
3. About 100 compression per minute
4. Between 100-120 compression per minute

Correct answer: 4. Between 100-120 compression per minute

Explanation: During cardiopulmonary resuscitation of infants and children, the ratio of chest compression to rescue breaths is 30:2 for a single rescuer and 15:2 if 2 or more rescuers are present. In adults, the ratio is 30:2 irrespective of the number of rescuers. In infants and children, the depth of compression should be at least one-third of the anteroposterior diameter of the chest which is about 5 cm in children and 4 cm in infants. The compression rate should be 100-120/minute. Allow complete chest recoil after each compression. Minimize interruptions in compressions (10 seconds or less). Rotate compressor every 2 minutes or earlier if fatigued. Avoid excessive ventilation.